A girl from shimla presented to OPD with fever, hypotension, malaise and axillary and inguinal lymphadenopathy. Culture in glucose broth shows stalactite growth. Most likely causative organism is?
1. Yersinia pestis
2. Francisella tularensis
3. Brucella abortus
4. Coxiella burnetii

Correct answer: 1. Yersinia pestis

Explanation: This is a case of bubonic plague. Plague is caused by Yersinia pestis. It is short plump, ovoid, gram negative bacillus, shows bipolar staining (safety pin appearance), pleomorphism which is characteristically enhanced in media containing 3% NaCl. It is enveloped by a slime layer & is non motile, non sporing, non acid fast bacteria. Ref: Ananthanarayanan & Paniker's textbook of microbiology 8th ed pg 322.